Which enzyme polymerizes Okazaki fragments?
1. DNA polymerase I
2. DNA polymerase II
3. DNA polymerase III
4. RNA polymerase

Correct answer: 3. DNA polymerase III

Explanation: DNA polymerase III holoenzyme is the enzyme primarily responsible for replicative DNA synthesis in E. coli. It carries out primer-initiated 5' to 3' polymerization of DNA on a single-stranded DNA template, as well as 3' to 5' exonucleolytic editing of mispaired nucleotides Ref-D.M.Vasudevan 7/e p538